Transmission rate of HIV by needlestick injury in health professionals is
1. 0.30%
2. 1%
3. 5%
4. 10%

Correct answer: 1. 0.30%

Explanation: AUTOPSY OF A CASE OF AIDS AND INFECTIONS Universal Work Precautions: (1) All infected bodies should be wrapped and tied in double layer tough plastic bag, with a red colour tag mentioning "Biologically Hazardous". The label should mention the name, age, sex, registration number, etc. (2) Workers who have exudative lesions or weeping dermatitis or external injury should not handle AIDS victims. (3) Proper protective clothing, full sleeves overalls instead of simple surgical gowns, water-proof plastic apron, head cap, face mask, goggles if eye glasses are not worn, double gloves (heavy autopsy gloves over surgical gloves), waterproof rubber gumboots of knee length with shoe covers. A plastic visor will protect eyes and mucosal surfaces from splash injury. A high efficiency particulate air- filled respirator or a powered air-purifying respirator should be worn. ( 4) Handling sharp instruments: Avoid accidental pricks and cuts from needles, scalpels, etc. If a cut is made in the rubber gloves or needle injury occurs they should be removed immediately and replaced with new ones. Hands and other skin surfaces should be washed immediately and thoroughly if contaminated with blood or other body fluids. Infection of AIDS can be acquired by transdermal inoculation through cuts and needle punctures. About 0.3 to 0.5% of individuals will become seropositive. Transmission rates from contaminated needle punctures or close contact are 10 to 30 times higher for serum hepatitis than for AIDS. The incident should be reported to proper authority to get their blood check for HIV seropositivity. (5) Handling specimens for laboratory examination: Mucocutaneous contact with the body fluids, and aerosol inhalation should be avoided. They should be properly labelled andfilled with 10% formalin solution and should be handled with gloved hands. (6) Disposal of used instruments: They should be dipped in 20% glutaraldehyde (cidox) for half-an-hour, washed with soap or detergent and water, dried and then rinsed in methylated spirit and air dried. (7) All soiled gauze and cotton, etc. should be collected in a double plastic bag for incineration. (8) Laundry material, such as aprons, towels, etc. should be soaked in one percent bleach for half-an-hour, washed with detergent and hot water, and autoclaved. (9) Clean- up procedure: Wear new intact disposable gloves. Small spatters and spills of blood and other body fluids can be wiped up with disposable tissues o1* towels which are discarded in special bio-hazard bags and properly disposed. The autopsy table and floor should be cleaned with one percent bleach solution, followed by washing with soap and water. (10) Disinfectants: 1:10 dilution of common household bleach or a freshly prepared sodium hypochlorite solution are recommended. Liquid chemical germicides commonly used in health care facilities and laboratories are effective against HIV. Ref:- k s narayan reddy; pg num:-121,122